A boy presented in the OPD with minimal pleural effusion on the right side. The best method to detect this would be :
1. Left side chest X-ray
2. Right side chest X-ray
3. Right lateral decubitus chest X-ray
4. Left lateral decubitus chest X-ray

Correct answer: 3. Right lateral decubitus chest X-ray

Explanation: Ans. is 'c' is Right lateral decubitus chest X-ray Most dependent recess of the pleura is the posterior costophrenic angle*.So in pleural effusion this recess would be filled earliest. But at least 100-200 ml of fluid would be required to fill this recess before it can be detected on a PA view.Therefore in cases of minimal pleural effusion the best method to detect it would be- Decubitus view with a horizontal beam.